Iceberg phenomenon is depicted by all of the following diseases except:
1. Influenza
2. Hypertension
3. Measles
4. Malnutrition

Correct answer: 3. Measles

Explanation: Iceberg phenomenon is not shown by diseases which have no carrier state such as: - Rabies - Tetanus - Measles - Rubella - Pertussis Tip of iceberg Submerged part of iceberg Composition Clinical cases Latent, inapparent, pre symptomatic, Undiagnosed cases and carriers Visibility to clinician Visible Invisible Prime importance for Clinician Epidemiologist Detection Diagnostic tests Screening tests Useful level of prevention Secondary Secondary